Arterial supply to putamen includes all except
1. Medial striate arteries
2. Lateral striate arteries
3. Anterior choroidal artery
4. Posterior communicating artery

Correct answer: 4. Posterior communicating artery

Explanation: It is a branch of internal carotid artery anastomosis with posterior cerebral artery, this is inferior view brain showing circle of Willis Ref: Gray's39e/p-387